Maxillary posteriors Buccolingually are
1. Trapezoid
2. Rhomboid
3. Pentagonal
4. Triangular

Correct answer: 1. Trapezoid